Pelvis with only one ala is known as:
1. Rachitic pelvis
2. Naegele's pelvis
3. Scoliotic pelvis
4. Robert's pelvis

Correct answer: 2. Naegele's pelvis

Explanation: Ans. B: Naegele's Pelvis If ala is absent on one side, it is Naegele's pelvis. If alae of both the sides are absent, it is known as Robert's pelvis Delivery in both the condition is done by caesarean section.